Benedict's hand is due to injury to -
1. Ulnar nerve
2. Median nerve
3. Axillary nerve
4. Radial nerve

Correct answer: 2. Median nerve

Explanation: Ans. is'b'i.e., Median nerveBenediction deformity of hand (Benedict hand) and positive Benediction test are seen in median nerve injury.